The lingual bar connector should be located at least how many millimeters below the gingival margin?
1. 2
2. 4
3. 6
4. 8

Correct answer: 2. 4